Best to visualize corneal endothelium
1. Fundoscopy
2. Specular microscopy
3. Slit lamp exam
4. Operating microscopy

Correct answer: 2. Specular microscopy

Explanation: Ans. b (Specular microscopy). (Ref. Parson Diseases of Eye/19th/pg. l 13)SPECULAR MICROSCOPY# It is vital to count and study morphology of corneal endothelial cells, especially in the cases of cataract with suspected endothelial dystrophy.# Normal cell count is 2000-2500 cells/mm2.# IOL implantation is contraindicated if the cell count is < 1500/mm2.# Specular reflection by slit lamp biomicroscope (specular microscopy) allows visualization of corneal endothelium by viewing light reflected back from this interface, count of endothelial cells is possible using an Elser grid.